In a study with new treatment, there were reported 36 death/treatment failures out of sample of 120.With a new treatment, 26 treatment failure were reported from a sample size of 130. How many patients should be treated to avert 1 death?
1. 100
2. 10
3. 250
4. 160

Correct answer: 2. 10

Explanation: Ans. (b) 10Ref: Parks Text book of Preventive and Social Medicine 24th Ed; Page No- 856There are three steps required to solve this type (Number needed to treat) of MCQ.According to the Question:Experimental group = 26 Rx failure /130 sampleControl (previous treatment) group = 36 Rx failure /120 sample* Step-1: Make a box Events occursNo Events Experimental Gp26104130Control Gp3684120 * Step-2: Calculate the Event rate* Event rate in experimental Gp Or Experimental Event rate (EER) =26/130=0.2* Event Rate in Control Group or Control Event Rate (CER) =36/120=0.3* Step-3:# Absolute Risk Reduction (ARR) = CER-EER =0.3-0.2=0.1# Number Needed to Treat = 1/ARR =1/0.1=10